A 12-year-old boy presents with hematemesis, malaena and mild splenomegaly. There is no obvious jaundice or ascites. The most likely diagnosis is:
1. EHPVO
2. NCPF
3. Cirrhosis
4. Malaria with DIC

Correct answer: 1. EHPVO

Explanation: The given history is suggestive of portal hypertension Extrahepatic portal vein obstruction is an important cause of portal hypertension in childhood.